Most of the reducing equivalents utilized for synthesis of fatty acids can be generated from:
1. The pentose phosphate pathway
2. Glycolysis
3. The citric acid cycle
4. Mitochondrial malate dehydrogenase

Correct answer: 1. The pentose phosphate pathway

Explanation: The sources of NADPH for synthesis of fatty acids are the pentose phosphate pathway